Endemic ascites is caused by
1. Aflatoxin
2. Sanguinarine
3. Pyrrolizidine alkaloid
4. Ergot alkaloid

Correct answer: 3. Pyrrolizidine alkaloid

Explanation: The population that subsist on the millet Panicum miliare, may get contaminated with weed seeds of Crotalaria (Jhunjhunia).Jhunjhunia seeds were found to contain pyrrolizidine alkaloids which are hepatotoxins, cause Endemic ascitesPark23e pg: 658